What is the most dangerous effect of belladonna in very young children ?
1. Dehydration
2. Hallucination
3. Hypertension
4. Hyperthermia

Correct answer: 4. Hyperthermia